Hyperbaric Oxygen is not useful in
1. CO poisining
2. Vertigo
3. Gas gangrene
4. compartment syndrome

Correct answer: 2. Vertigo

Explanation: Hyperbaric oxygen is not useful in vertigo.